A 2-year-old child presented with diarrhoea and failure to thrive, Blood examination shows – Na = 122,K – 6. He is most probably suffering from –
1. Banter syndrome
2. 21–α Hydroxylase deficiency
3. 11–β Hydroxylase deficiency
4. 17–a Hydroxylase deficiency

Correct answer: 2. 21–α Hydroxylase deficiency

Explanation: Na+ is 122 (hyponatremia). That means, there is salt losing enzyme deficiency, causing hyponatremia and hyperkalemia.
21 hydroxylase deficiency causes hyponatremia and hyperkalemia. 17α -hydroxylase and 11-β -( hydroxylase deficiency cause hypernatremia and hypokalemia.
Butter syndrome causes excessive loss of Na+, K+ and Cl causing severe hypokalemia and hyponatremia.